The most commonly dislocated joint in the child's hand is the
1. Distal interphalangeal joint
2. Proximal interphalangeal joint
3. Metacarpophalangeal joint
4. Carpometacarpal joint

Correct answer: 3. Metacarpophalangeal joint

Explanation: Although dislocations in the hands of children are uncommon because the physes are generally weaker than the capsular and ligamentous structures, the metacarpophalangeal joint is the most commonly dislocated joint. Dislocation of the proximal interphalangeal joint is second in frequency, followed distantly by dislocation of the distal interphalangeal joint.